Which of the following intrinsic muscles of hand link flexor to extensor tendons?
1. Thenar muscles
2. Lumbricals
3. Palmar interossei
4. Dorsal interossei

Correct answer: 2. Lumbricals

Explanation: Lumbricals originate from the tendon of flexor digitorum profundus in the palm and it is inserted in the lateral side of extensor digitorum profundus, thus it links flexor to extensor. The first and second lumbricals are supplied by the median nerve and the third and fouth are supplied by the ulnar nerve.